In an after coming head the following bone is perforated during decapitation:
1. Occiput
2. Parietal
3. Palate
4. Frontal

Correct answer: 1. Occiput